A patient who is being treated for leukemia develops unilateral flank pain. Radiologic studies demonstrate a dilated renal pelvis and dilation of the upper one-third of the corresponding ureter. A stone with which of the following compositions is most likely causing this patient's problems?
1. Calcium salts
2. Cholesterol
3. Cystine
4. Uric acid

Correct answer: 4. Uric acid

Explanation: Patients prone to develop uric acid stones include those with gout, leukemia (particularly during chemotherapy, which releases large amounts of nucleic acids from dying leukemia cells), and acidic urine. Calcium-containing stones are the most common kind in the general population. Cholesterol stones are found in the gallbladder. Cystine stones are a rare form of renal stone seen in patients with cystinuria. Ref: Wyatt C., Butterworth IV J.F., Moos P.J., Mackey D.C., Brown T.G. (2008). Chapter 16. Pathology of the Kidney and Bladder. In C. Wyatt, J.F. Butterworth IV, P.J. Moos, D.C. Mackey, T.G. Brown (Eds), Pathology: The Big Picture.